By which of the following method the incidence of a disease can be calculated?
1. Prospective study
2. Retrospective study
3. Case control study
4. Cross sectional study

Correct answer: 1. Prospective study

Explanation: Prospective study is the exposure to the risk factor and subsequent health outcomes are observed after the beginning of the study. Incidence can be calculated by this study. Ref: Park's Textbook of Preventive and Social medicine, 19th edition, Page 71, 74.